All of the following are true regarding Crohn disease except:
1. Skip lesions
2. Inflammation limited to mucosa
3. Recurrence common after surgery
4. Fistulae formation is seen

Correct answer: 2. Inflammation limited to mucosa

Explanation: Ans. B: Inflammation limited to mucosaFeatures of Crohn disease:Bowel region: Ileum, colonDistribution: skip lesionStricture formation: YesWall appearance: thickInflammation: transmuralUlcers:deep, knife-likeLymphoid reaction: markedFibrosis: markedSerositis: markedGranuloma formation: Yes (35%)Fistula/sinuses: YesFat/vitamin malabsorption: YesRecurrence after surgery: CommonToxic megacolon: No